Which is true about lesser petrosal nerve?
1. Supplies secretory fibres to parotid gland
2. Exits from foramen spinosum
3. Branch of facial nerve
4. Synapse in pterygopalatine ganglion

Correct answer: 1. Supplies secretory fibres to parotid gland

Explanation: The parasympathetic or secretomotor fibres of the parotid gland arise form the inferior salivatory nucleus, pass successively through the glossopharyngeal nerve,tympanic branch of glossopharyngeal nerev(Jacobson's nerve), tympanic plexus and lesser petrosal nerve to relay in the otic ganglion.It exits through foramen ovale.It is a branch of tympanic plexus of tympanic branch of glossopharyngeal nerve.-Reference: Textbook of anatomy, head neck and brain Vishram Singh, 2nd edition, page no.142, 320,345